Chest X-ray revealed bilateral, symmetrical interstitial infiltrates in a 30-year old HIV positive patient who presented with fever, dyspnoea, non-productive cough, and cyanosis. The MOST likely diagnosis is:
1. Tuberculosis
2. Cryptococcosis
3. Pneunocystis carinii pneumonia
4. Toxoplasmosis

Correct answer: 3. Pneunocystis carinii pneumonia

Explanation: Chest X-ray findings of bilateral, symmetrical interstitial infiltrates in a HIV positive patient with respiratory symptom is almost diagnostic of Pneunocystis carinii pneumonia. Ref: Harrisons principles of internal medicine 18th edition, chapter 189.